Calcified mass seen in eyes of children:
1. Rhabdomyosarcoma
2. Retinoblastoma
3. Metastasis
4. Leukaemia

Correct answer: 2. Retinoblastoma

Explanation: Ans: b (Retinoblastoma)Calcified mass seen in childrenRetinoblastoma is the most common primary intra ocular malignancy in children. The characteristic feature is calcification which can be detected by an USG B scan or CT scan.